Only intact eye movement in one and a half syndrome is
1. Adduction of Ipsilateral eye
2. Abduction of Ipsilateral eye
3. Adduction of contralateral eye
4. Abduction of contralateral eye

Correct answer: 4. Abduction of contralateral eye

Explanation: Only abduction of contralateral eye is possible.